Bilateral parotid swelling is/are seen in all except :
1. Mump
2. Epstein-Barr virus
3. Sarcoidosis
4. Brucella

Correct answer: 4. Brucella

Explanation: Answer- (D) BrucellaViral infectionsMumpsInfluenzaEpstein-Barr virusCoxsackievirus ACytomegalovirusHIV HCVSarcoidosisSjogren's syndromeMetabolic disordersDiabetes mellitusChronic pancreatitisHepatic cirrhosis